Most common cause of renal artery stenosis above 50 years of age is ?
1. Atherosclerosis
2. FMD
3. Takayasu arteritis
4. RCC

Correct answer: 1. Atherosclerosis

Explanation: Atherosclerotic renal artery stenosis is common and prevalence increases with age. Large vessel renal artery occlusive disease can result from extrinsic compression of vessel ,intimal dissection, fibromuscular dysplasia, or most commonly atherosclerotic disease. Ref:Harrison 20 th edition pg no 1906